Thiamine deficiency causes
1. Beriberi
2. Night blindness
3. Scurvy
4. Pellagra

Correct answer: 1. Beriberi

Explanation: Ans: a (Beri Beri)Ref: Park, 20th ed. Pg. 534, Davidson Principles and Practice of Medicine, 20th ed.Recommended name (alternative name)SourcesDeficiencyExcessInvestiga-tionsFAT-SOLUBLEVitamin ALiver, milk, butter, cheese, fish oilsXerophthalmia, almia, night blindness, keratomalacia, follicular hyperkeratosisLiver damage, bone damage, teratogenesisSerum retinolVitamin DMainly manufactured in skin under the influence of sunlightRickets, osteomalaciaHypercal- caemiaPlasma 25(OH)D or 1,25(OH) 2 DVitamin EVegetables, seed oilsHaemolytic anaemia, ataxia Plasma vitamin EVitamin KGreen vegetables, dairy productsCoagulation disorder Coagula-tion assay (e.g. proth-rombin time) +- plasma vitamin KWATERSOLUB LE Thiamine (Vitamin Bl)Cereals, grains, bean, porkBeri-beri, Wernicke- Korsakoff syndrome RBC trans-ketolase or whole blood vitamin B 1Riboflavin (Vitamin B 2)MilkGlossitis, stomatitis RBC glutat-hione reductase or whole blood vitamin B 2Niacin (Nicotinic acid, vitamin B 3) metabolitesMeat, cerealsPellagra Urinary nicotin- amide,Vitamin B 6 (Pyridoxine)Meat, fish, potatoes, bananasPolyneuropathyPolyneu-ropathyPlasma pyridoxal phosphate or eryth ro-cyte trans-aminase activation coefficient Biotin Dennatitis, alopecia, paraesthesiae Liver, egg yolk, cereals, yeastWhole blood or urine biotinFolateLiverAnaemiaRBC folateVitamin B 12 (Cobalamin)Animal productsAnaemia, neurological degenerationPlasma B 12Vitamin C (Ascorbic acid)Fresh fruit and vegetablesScurvyPlasma ascorbic acid (daily intake) Leucocyte ascorbic acid (tissue stores)